Primary hemostasis is disturbed in
1. Platelet disorder
2. lupus anticoagulant
3. hemophilia
4. Liver disease

Correct answer: 1. Platelet disorder